Transmission of amoebiasis occurs by all eicept
1. Cockroach
2. Feco oral
3. Oro rectal
4. Vertical transmission

Correct answer: 4. Vertical transmission

Explanation: Ans. (d) Vertical transmission Epidemiological features of amoebiasis Adults > children Males > females Infective stage-Quadrinucleate cyst Source of infection - carrier or asymptomatic cyst passer Route of transmission - Fecoral Mode of transmission - Contaminated food and water Mechanical vectors - Flies and cockroaches Sexual transmission - Occur in homosexuals (gay bowel disease) Remember: Parasites transmitted transplacentally (vertical transmission) are: Toxoplasmosis Plasmodium T. Cruzi